Plasmapheresis (plasma exchange therapy) is used in the treatment of -
1. Autoimmune hemolytic anemia
2. Disseminated intravascular coagulation
3. Thrombotic thrombocytopenic purpura
4. Hemolytic uremic syndrome

Correct answer: 3. Thrombotic thrombocytopenic purpura